ASHA stands for
1. Auxiliary social health activist
2. Accredited social health activist
3. Auxiliary social health assistant
4. Accredited social health assistant

Correct answer: 2. Accredited social health activist

Explanation: In NRHM Cadre of Accredited Social Health Activist (ASHA) is createdASHA must be a women resident of the village, preferably 25-45 years with formal education up to 8 1 ASHA for 1000 population. In tribal, hilly and desert areas the norm could be relaxed to 1 ASHA per habitation.Park 23e pg: 449